Calculate IMR if in a population of 100000 there are 3000 live births in a year and 150 infant deaths in the same year:
1. 75
2. 18
3. 5
4. 50

Correct answer: 4. 50

Explanation: Infant mortality rate (IMR) is defined as the ratio of infant deaths registered in a given year to the total number of live births registered in the same year, usually expressed as a rate per 1000 live births. It is given by the formula: IMR= No. of deaths of children less than 1 year of age in a year --------------------------------------------------------------------x1000 No. of live births in the same year Therefore, in the given question IMR= 150 --------x 1000 3000 IMR= 50 Ref : Park's Textbook of Preventive and Social Medicine; 18th edition; Page-417